The great sensory ganglion of trigeminal nerve lying in Meckel's cave is not known as:
1. Semilunar ganglion.
2. Trigeminal ganglion.
3. Stellate ganglion.
4. Gasserian ganglion.

Correct answer: 3. Stellate ganglion.